Norepinephrine is produced by
1. Zona fasiculata
2. Zona glomerulosa
3. Zona reticularis
4. Adrenal medulla

Correct answer: 4. Adrenal medulla

Explanation: (D) Adrenal medulla # Adrenal Cortex> The adrenal cortex synthesizes three different types of steroids:> Glucocorticoids (principally cortisol), which are synthesized primarily in the zona fasciculata with a small contribution from the zona reticularis.> Mineralocorticoids, the most important being aldosterone, which is generated in the zona glomerulosa.> Sex steroids (estrogens and androgens), which are produced largely in the zona reticularis.> The adrenal medulla is composed of chromaffin cells, which synthesize and secrete catecholamines, mainly epinephrine.\> Catecholamines have many effects that allow rapid adaptations to changes in the environment.> Norepinephrine, epinephrine, and dopamine are secreted by the adrenal medulla.